Most common site of metastasis for choriocarcinoma is :
1. Lung
2. Liver
3. Brain
4. Bone

Correct answer: 1. Lung

Explanation: Spread of choriocarcinoma Lungs 80% X-ray chest, CT Vaginal metastasis 30% Speculum examination, bhCG Pelvis 20% Pelvic examination, ultrasound, CT Liver 10% Ultrasound, CT Brain 10% CT, bhCG Gastrointestinal rare Ultrasound, bhCG kidney, spleen Reference: Shaw's Textbook of Gynaecology 16th edition page no 516